Pentothiol sodium should preferablay be injected into –
1. Femoral vein
2. Antecubital vein
3. Neck vein
4. Veins on outer aspect of fore arm

Correct answer: 4. Veins on outer aspect of fore arm

Explanation: Inadverent intra-arterial injection occurs when thiopentone is injected in antecubital vein because in 10% of the cases brachial artery divides above elbow giving a very superficial abnormal artery which lies deep to antecubital vein. Therefore thiopentone injection should be given in the veins over the outer aspect of forearm (not in antecubital vein).